Drug NOT used in pulmonary hypertension ?
1. Calcium channel blocker
2. Endothelin receptor antagonist
3. Alpha blocker
4. Pro stacyc lin

Correct answer: 3. Alpha blocker

Explanation: Ans. is 'c' i.e., Alpha blockers Drug for pulmonary hypertension 1. By increasing the effect of NO/cGMP o This can done by increasing the concentration of cGMP by preventing its degradation. o This can be achieved by inhibiting phosphodiesterase-5 by phosphodiesterase -5 inhibitors like sildenafil, Tadalofil. 2. By increasing the effect of Prostacyclin (cAMP) o This can be achieved by using prostacyclins like epoprostenol, Treprostinil, Iloprost. 3. By decreasing the effect of endothelin o This can be acheived by using endothelin receptor antagonists like Bosentan, ambrisentan. By having direct vasodilatory effect on pulmonary vessels. o Calcium channel blockers like nifedipine dilate both systemic and pulmonary vascular bed.